Which plant poison is called railway poison
1. Datura
2. Opium
3. Odollum
4. Abrus precatorius

Correct answer: 1. Datura

Explanation: Datura- circumstances of poisoning Crushed or powdered seeds are used by criminals to stupefy the victim before theft, robbery, rape or kidnapping. So, it is sometimes known as road poison or railway poison. It is given with food or drink. The seeds are mixed with ganja or tobacco and filled in cigarettes or pipe to stupefy the watchman before facilitating robbery. It is sometimes mixed with toddy to increase the effect. Ref: FORENSIC MEDICINE AND TOXICOLOGY Dr PC IGNATIUS THIRD EDITION PAGE 478